Population attributable risk is defined as the difference between:
1. Incidence in exposed and incidence in non-exposed compared with incidence in non-exposed
2. Incidence in population and incidence in exposed compared with incidence in population
3. Incidence in population and incidence in non-exposed compared with incidence in population
4. Incidence in population and incidence in exposed compared with incidence in non-exposed

Correct answer: 3. Incidence in population and incidence in non-exposed compared with incidence in population

Explanation: population attributable risk is defined as the difference between incidence in population and incidence in non-exposed compared with incidence in population Ref: Park 24th edition